Which of the following is the agent of choice for cryosurgery?
1. Nitrous oxide
2. CO2 snow
3. Liquid nitrogen spray
4. Freons

Correct answer: 3. Liquid nitrogen spray

Explanation: This has a temperature of -196 c(spray/probe) & the only cryogen advocated for malignant skin lesions. Ref: Textbook of dermatosurgery & cosmetology, satish S savant, E-2,P-117.